Regarding phenytoin all are true except ?
1. Potent microsomal enzyme inducer
2. Highly protein bound
3. At lower concentration it follows zero order kinetics
4. With increasing dose, the VA increases.

Correct answer: 3. At lower concentration it follows zero order kinetics

Explanation: Ans. is 'c' i.e., At lower concentration it follows zero order kinetics o The kinetics of metabolism of phenytoin is capacity limited; changes from first order to zero order over the therapeutic range, i.e., at lower concentration it follows first order kinetics and changes to zero order at higher doses. About other options o Phenytoin is a potent enzyme inducer. o It is 80-90% bound to plasma protein. o T1/2 increases with dose because clearance progressively decreases as dose is increased.